Which of the following is a chemokine?
1. Leukotriene A4
2. IL-8
3. C5
4. C3

Correct answer: 2. IL-8

Explanation: Their name is derived from their ability to induce directed chemotaxis in nearby responsive cells; they are chemotactic cytokines. Interleukin-8 (IL-8) is a chemokine produced by macrophages and other cell types such as epithelial cells. It is also synthesized by endothelial cells, which store IL-8 in their storage vesicles, the Weibel-Palade bodies.